Sodium potassium pump is a:
1. Heterodimer
2. Homodimer
3. Polymer
4. Monomer

Correct answer: 1. Heterodimer

Explanation: Sodium potassium pump is a heterodimer It has alfa and beta subunits